All of the following immunohistochemical markers are positive in the neoplotic cells of granulocytic sarcoma, EXCEPT:
1. CD 45 RO
2. CD 43
3. Myeloperoxidase
4. Lysozome

Correct answer: 1. CD 45 RO

Explanation: A variety of markers for myeloid precursors in granulocytic sarcoma are identified. CD43, lysozyme, myeloperoxidase and CD 15 are the most sensitive markers staining a large proportion of the cells of the majority of well-differentiated tumors. CD 45 RO is not mentioned as a immunohistochemical marker of granulocytic sarcoma. Ref: Manual of Diagnostic Antibodies For Immunohistology By Anthony Siew-Yin Leong, Kumarasen Cooper, F. Joel W.-M. Leong, 2002, Page 339.